A 45 year old lady complains contact bleeding. She has positive pap smear. The next line of management is -
1. Colposcopy directed bioipsy
2. Cone biopsy
3. Repeat papsmear
4. Hysterectomy

Correct answer: 1. Colposcopy directed bioipsy

Explanation: Ans. is 'a' Colposcopy directed biopsy (Ref. Shaws, 7 3/e, p 384 (12/e, p289)).Pap smear is a screening procedure for carcinoma cervix.Positive pap smear means that cytology as abnormal. Now it needs to be confirmed by biopsy. Colposcopy will help in accurate localization of the abnormal tissue and helps in reducing false negative findings.Indications of colposcopy :Abnormal cytologyFor diagnosis of suspicious invasive lesion.Diagnostic directed biopsy.Conservative therapy under colposcopic guidance.Follow-up of cases treated conservatively.